True about naltrexone is all except:
1. Acts on opioid receptors
2. Is used in treatment of alcohol dependence
3. Is used to reduce craving in dependence
4. Is an opioid agonist

Correct answer: 4. Is an opioid agonist